Mycosis fungoides which is not true
1. It is the most common form of cutaneous lymphoma
2. Pautriers microabscess
3. Indolent course and easily amenable to treatment
4. Erythroderma seen and spreads to peripheral circulation

Correct answer: 3. Indolent course and easily amenable to treatment

Explanation: Answer is C (Indolent course and easily amenable to treatment) : Uthough Mycosis fungoides has an indolent course it is not easily amenable to treatment. Mycosis Fungoides Mycosis fungoides is synonymous with Cutaneous T cell lymphoma. Clinical presentation and course : * Mycosis fungoides has an indolent course. Most affected individuals have disease that remains localized to the skin for many years. It begins on the skin and may involve only the skin for years or decades * Presentation is with localized or generalized erythematous / eczematous skin lesions. * Skin lesion progress from 'patch' stage to 'plaque stage' to cutaneous 'tumors' stage. * Metastasis occurs in advanced stages : To lymph nodes Peripheral circulation Sezary syndrome (Erythroderma and Circulating tumor cells) Seeding of the blood by melanoma cells is accompanied by diffuse erythema and scaling of the entire body surface (erythroderma). Histology Sezary - Lutzner cells Pautrier Microabscesses * Histological hall mark of Sezary - Lutzner cells characterstically form band like aggregates * Mycosis fungoides within the superficial dermis and invade the epidermis as single * These are T helper cell cells or small clusters called Pautrier's Microabscesses. (CD4 positive) Treatment (Mycosis fungoides is not easily amenable to treatment) * The treatment of Mycosis fungoides is complex. Even early and aggressive treatment has not been proved to cure or prevent progression of the disease. -CMDT * Cure has been possible with radiotherapy only in rare patients with early stage mycosis fungoides. * Most of the treatment for mycosis fungoides are palliative'.